Wof is a monoclonal anti CD20 antibody used in treating NHL
1. Cyclophosphomide
2. Transtuzumab
3. Denosumab
4. Rituximab

Correct answer: 4. Rituximab

Explanation: Rituximab It is a chimerized MAb. Mech of action:- It binds to the CD20 B-cell antigen expressed on the surface of B-lymphocytes and B-cell lymphomas. Rituximab binding to the antigen promotes apoptosis through transmembrane signalling as well as by ADCC and CDC mechanisms. Uses:- It is indicated in B-cell lymphoma, non-Hodgkin lymphoma and chronic lymphocytic leukaemia. Adverse effects:- are infusion reactions consisting of chills, fever, urticarial rashes, pruritus, dyspnoea and hypotension. Severity of the reaction varies, and is also related to rate of infusion. Pretreatment with antihistaminics dampens the reaction. Ref:- kd tripathi;pg num:-872